Which of the following is an intrauterine balloon used to treat hemorrhage from uterine atony?
1. Minnesota
2. Linton
3. Bakri
4. Maveric

Correct answer: 3. Bakri

Explanation: A Bakri Postpartum Balloon may be inserted and inflated to tamponade the endometrial cavity and stop bleeding in uterine atony. Ref: William's Obstetrics; 24th edition; Chapter 41